Nocardia is differentiated from Actinomyces by -
1. Gram stain
2. ZN stain
3. Nocardia causes mycetoma, Actinomyces does not
4. Nocardia is faculative anerobe

Correct answer: 2. ZN stain

Explanation: Nocardia are partially acid fast while Actionomyces are non acid fast.